An action potential is initiated at the Axon Hillock or Initial segment of the neuron because
1. Threshold for Excitation is lowest
2. Neurotransmitter is released at this site
3. It is an unmyelinated segment
4. Has lowest concentration of voltage gated sodium channels

Correct answer: 1. Threshold for Excitation is lowest